Which of the following stains is used to study fungal morphology in tissue sections -
1. PAS
2. Von-Kossa
3. Alzarin- red
4. Masson's Trichrome

Correct answer: 1. PAS

Explanation: Periodic acid schiff stain is a special stain used to demonstrate fungal elements. fungal cell wall and yeasts contain neutral polysaccharides that stain positive with parts reaction fungal cell wall appear red. rooks textbook of dermatologypage 92